Treatment of choice in early vocal nodule is:
1. Radial excision
2. Microlaryngoscopic removal
3. Cryotherapy
4. Voice rest and speech therapy

Correct answer: 4. Voice rest and speech therapy

Explanation: (d) Voice rest and speech therapy(Ref. Cummings, 6th ed., 905; Scott Brown, 8th ed., Vol 3; 984)Early vocal nodule is managed conservativelyMLS removal is done in persistent nodules despite speech therapy